Minimum alveolar concentration (MAC) is a measure of -
1. Potency of anaesthetic agent
2. Speed of induction and recovery
3. Lipid solubility of agent
4. Toxicity of agent

Correct answer: 1. Potency of anaesthetic agent

Explanation: Ans. is 'a' i.e., Potency of anaesthetic agent o Minimum alveolar concentration (MAC) - Measure of potency.o Blood : Gas partition coefficient - Blood solubility of anaesthetic agent and determines the speed of induction & recovery.o Oil: Gas partition coefficient - Lipid solubility of anaesthetic agent and is related to potency of anaesthetic agent.